True about H. pylori includes all except:
1. Gram positive bacillus
2. Urease positive bacillus
3. Highly associated with deodenal ulcer
4. Urease breath test can be performed only in specialized labs

Correct answer: 1. Gram positive bacillus

Explanation: Ans. is. 'a' i. e., Gram positive bacillus